Which of the following is false about intra-uterine devices (IUDs)?
1. Multiload Cu-375 is a third generation intra-uterine device (IUD)
2. Copper devices are effective as post-coital contraceptives
3. LNG-20 (Mirena) has an effective life of 5 years
4. Pregnancy rates of Lippes Loop and T Cu-200 are similar

Correct answer: 1. Multiload Cu-375 is a third generation intra-uterine device (IUD)

Explanation: Multioad Cu-375 is a newer copper intra-uterine device (IUD). The copper devices comprise the second generation IUDs. The non-medicated or inert devices are the first generation IUDs and the hormone-releasing devices are the third generation IUDs Ref: Park's Textbook Of Preventive And Social Medicine, By K. Park, 19th Edition, Pages 393-395.